Which one of the following soft tissue sarcomas frequently metastasizes to lymph nodes?
1. Fibrosarcoma
2. Osteosarcoma
3. Embryonal Rhabdomyosarcoma
4. Alveolar soft part sarcoma

Correct answer: 3. Embryonal Rhabdomyosarcoma

Explanation: Rhabdomyosarcoma has been described as a variant of soft tissue sarcoma with a high incidence of nodal metastasis. Ref: Harrison's Internal Medicine, 16th Edition, Page 559; Soft Tissue Sarcomas By Raphael E. Pollock, 2002; Orthopaedic Pathology By Vincent J. Vigorita, Bernard Ghelman, Douglas Mintz, 2007, Page 379